Which of the following are most numerous in human blood
1. Neutrophils
2. Eosinophils
3. Basophils
4. Monocytes

Correct answer: 1. Neutrophils

Explanation: Normally, human blood contains 4000 to 11,000 white blood cells per microliter. Of these, the granulocytes (polymorphonuclear leukocytes, PMNs) are the most numerous. Among these neutrophils are the most common ones.